NOT TRUE about Medial Meniscus is
1. Semicircular in shape
2. Not attached to medial collateral ligament
3. Firmly anchored to Tibia
4. More prone to injury when compared to Lateral meniscus

Correct answer: 2. Not attached to medial collateral ligament

Explanation: Medial meniscus is

Semicircular or 'C' shaped
attached to medial collateral ligament
Firmly anchored to Tibia
Less mobile and More prone to injury when compared to Lateral meniscus